Causes of metabolic alkalosis include all the following except -
1. Mineralocorticoid deficiency
2. Bartter's syndrome
3. Thiazide diuretic therapy
4. Recurrent vomiting

Correct answer: 1. Mineralocorticoid deficiency

Explanation: Mineralo corticoid deficiency is a cause normal anion gap metabolic acidosis-
Recurrent vomiting

Gastro intestinal loss of H+ from repeated vomitings results in retention of HCO3- and hence metabolic alkalosis

Thiazides

Thiazides are diuretics which acutely diminish the ECF volume without altering the total body bicarbonate
The serum Bicarbonate concentration, therefore, increases and hence metabolic alkalosis

Bartter's Syndrome

Bartter's syndrome is characterized pathologically by impaired Cl- reabsorption in the thick ascending loop of Henle and clinically by a triad of
Metabolic alkalosis
Hypokalemia
Normal or low B.P.